Hemochromatosis affect the following organs
1. Heart
2. Pancreas
3. Skin
4. All of the above

Correct answer: 4. All of the above

Explanation: Ans: dRef: Harrison, 16,hed, p. 2301